Which thyroid carcinoma is most commonly associated with cervical lymphadenopathy
1. Follicular carcinoma
2. Anaplastic carcinoma
3. Medullary carcinoma
4. Papillary carcinoma

Correct answer: 4. Papillary carcinoma